Loss of pain and motor activity with preserved proprioception is a clinical feature of
1. Anterior cord syndrome
2. Posterior cord syndrome
3. Brown Sequard syndrome
4. All of the above

Correct answer: 1. Anterior cord syndrome

Explanation: (A) Anterior cord syndrome # Brown-Sequard Hemicord Syndrome: There is a loss of sensation and motor function (paralysis and anesthesia) that is caused by the lateral hemisection (cutting) of the spinal cord. Hemisection lesion of the spinal cord will demonstrate loss of both fine touch (preserved on the contralateral side) and crude touch (destruction of the decussating spinothalamic fibers from the contralateral side) on the ipsilateral side.> Central Cord Syndrome: Central cord syndrome (CCS), an acute cervical spinal cord injury. It is marked by a disproportionately greater impairment of motor function in the upper extremities than in the lower ones, as well as by bladder dysfunction and a variable amount of sensory loss below the level of injury. Pain and temperature sensations, as well as the sensation of light touch and of position sense, may be impaired below the level of injury.> Other causes: Hyperextension injuries of neck, Intramedullary tumours, Trauma, Associated with Arnold Chiari type 1 and 2, Dandy Walker malformation.> Anterior Spinal Cord Syndrome: Infarction of the cord is generally the result of occlusion or diminished flow in this artery. The result is extensive bilateral tissue destruction that spares the posterior columns. All spinal cord functions--motor, sensory, and autonomic--are lost below the level of the lesion, with the striking exception of retained vibration and position sensation. Anterior cord syndrome, which results in damage to the anterolateral pathways causing loss of pain and temperature sensation below the level of the lesion, as well as damage to the anterior horn cells producing lower motor neuron-type weakness at the level of the lesion. With larger lesions, the corticospinal tract may also be involved, causing upper motor neuron signs. Incontinence is also common because descending pathways controlling sphincter function tend to be more ventrally located. Common causes include trauma, multiple sclerosis, and anterior spinal artery infarct.> Posterior Spinal Cord Syndrome: Lesions of the posterior column cause loss of vibration and position sense below the level of the lesion. With larger lesions, there may also be encroachment on the lateral corticospinal tracts causing upper motor neuror -type weakness. Common causes include trauma, extrinsic compression from posteriorly located tumors, and multiple sclerosis. Commonest causes include diabetes mellitus & neurosyphilis. Usually occurs 10 to 20 years after disease onset.